Iatrogenic traumatic facial nerve palsy is MOST commonly produced during which of the following surgical procedure?
1. Myringoplasty
2. Stapedectomy
3. Mastoidectomy
4. Ossiculoplasty

Correct answer: 3. Mastoidectomy

Explanation: Iatrogenic facial nerve trauma most often occurs during mastoidectomy. When injury occur to more than 50% of the neural diameter either primary reanastomosis or reconstruction using a nerve graft is done. Complications of mastoidectomy includes: Infection Labrynthitis ossificans Mucosalization of the middle ear Facial nerve injury CSF leak Encephalocele